Most Extensive vascular system among the following is found in
1. Cell free zone
2. Cell rich zone
3. Odontoblastic zone
4. None of the above

Correct answer: 2. Cell rich zone